Body is warm in death due to which of the following?
1. Pulmonary embolism
2. Sepsis
3. Cardiac shock
4. Electrocution

Correct answer: 2. Sepsis

Explanation: Ans. is 'b' i.e., Sepsis Postmortem caloricity* Normally, temperature falls after death. But in some situations, for initial 2-3 hours the dead body may gain heat, i.e. postmortem caloricity.* This may be seen in:i) Due to disturbed heat regulation : Sun-storke (heat stroke), pontine hemorrhage.ii) Due to heat production by muscular activity: tetanus, strychnine poisoning, asphyxial death.iii) Acute bacterial or viral infections : pneumonia, septicemia, liver abscess, peritonitis, typhoid, nephritis, meningitis, cholera etc.iv) Very high atmospheric temperature.